Adverse reaction following whole cells pertussis immunization is ?
1. Fever
2. Ecessive cry
3. Local swelling
4. All of above

Correct answer: 4. All of above

Explanation: Ans. is 'd' i.e., All of above Advese effect with pertusis (used in DPT) Local pain, swelling, redness Fever Convulsion Anaphylaxis Hypotensive, hyporesponsive episod.